Peaud' orange develops due to
1. Vascular obstruction
2. Lymphatic obstruction
3. Local spread
4. Endocrinal abnormality

Correct answer: 2. Lymphatic obstruction

Explanation: (Lymphatic obstruction) (837-LB) (839-B & L 25th)Phenomena resulting from lymphatic obstruction In advanced breast cancer(i) Peaud's orange (ii) Cancer-en-cuirasse (iii) LymphangiosarcomaPeaud' orange - is due to cutaneous lymphatic oedema, where the infiltrate skin is fethered by the sweat ducts, it cannot swell leading to an appearance like orange skin. Occasionally the same phenomenon is seen over a chronic abscess